All are related to posterior surface of urinary bladder EXCEPT
1. Ureter
2. Rectum through rectovesical pouch
3. Seminal vesicles
4. Vas deferens

Correct answer: 1. Ureter

Explanation: Ureters join the superolateral angles of urinary bladder (not related to the posterior surface). Relations of posterior surface of urinary bladder: Upper part is separated from rectum by the rectovesical pouch containing coils of the small intestine. Lower part is separated from rectum by the terminal parts of vas deferens and seminal vesicles. The triangular area between the vas deferens is separated from the rectum by rectovesical fascia (of Denonvillier).